Oxygen affinity is increased by all of the following except:
1. Alkalosis
2. Hypoxia
3. Increased HbF
4. Hypothermia

Correct answer: 2. Hypoxia

Explanation: B i.e. Hypoxia